True about epidemiology of influenza -
1. Asymptomatic seen rarely
2. Incubation period 10-12 hrs
3. Pandemic rare
4. All ages sex are equally affected

Correct answer: 4. All ages sex are equally affected

Explanation: Influenza is characterised by sudden onset of chills,malaise, fever, muscular pains and cough Influenza A strain is pandemic IP period l8 to 72 hours Affects all ages andboth sexes Reference : Park's Textbook of preventive and social medicine, 24th edition.Pg no. 163,164